Underdeveloped maxilla is seen in :
1. Treacher Collins syndrome
2. Pierre Robin syndrome
3. Craniofacial dysostosis
4. Both 1 and 2

Correct answer: 3. Craniofacial dysostosis